All are Urea cycle enzymes except:
1. Ornithine transcarbamylase
2. Carbamoyl-phosphate synthetase I
3. Argininosuccinase
4. Citrulline synthase

Correct answer: 4. Citrulline synthase

Explanation: Answer: (D) Citrulline synthase [Ref Harper 30th/290-96, 29th/274-88; Lippincott